Which of the following is P-Glycoprotein inhibitor
1. Rifampicin
2. Phenytoin
3. Griseofulvin
4. Ketoconazole

Correct answer: 4. Ketoconazole

Explanation: Drugs like cyclosporine, tacrolimus, quinidine, diltiazem, verapamil, itraconazole, ketoconazole, amiodarone inhibit P-Glycoprotein and cause drug toxicity.